The commonly injured carpal bone next to scaphoid is -
1. Triquetrum
2. Trapezoid
3. Lunate
4. Capitate

Correct answer: 1. Triquetrum

Explanation: Most common carpal bones fractured → Scaphoid
Second most common carpal bone fractured → Triquetrum
Third most common carpal bone fractured → Lunate